Ovarian senescence is described by all except
1. Begins in utero within embryonic ovary.
2. More rapid in late 30s and early 40s.
3. Follicular activation is dependent on pituitary stimulation.
4. Programmed oocyte atresia.

Correct answer: 3. Follicular activation is dependent on pituitary stimulation.

Explanation: The follicular activation continues in a constant pattern that is independent of pituitary stimulation.